Which of the following is not a feature of occulomotor nerve palsy:
1. Mydriasis
2. Absent papillary reflex
3. Proptosis
4. Ptosis

Correct answer: 3. Proptosis

Explanation: Ans. C : Proptosis Features of 3rd cranial nerve palsy: Downward and outward deviated eye Ptosis Dilated pupils Loss of pupillary/ light and accommodation reflexes. Absent medial and upward gaze.